Which is the most common contaminant in a positive blood culture?
1. Staphylococcus epidermidis
2. Bacteriodes
3. Candida
4. E.coli

Correct answer: 1. Staphylococcus epidermidis

Explanation: Among the options provided common contaminant in positive blood culture is Staphylococcus epidermidis (Coagulase negative staphylococcus- CONS) followed by other normal skin flora (other bacteria like Propionibacterium spp) and Candida species.Ref: Ananthanarayan 9th edition, p 622